Tympanic branch of the middle ear is derived from
1. Facial nerve
2. Glossopharyngeal nerve
3. Nerve to stapedius
4. Chorda tympani

Correct answer: 2. Glossopharyngeal nerve

Explanation: NERVE SUPPLY OF MIDDLE EAR: The tympanic branch of the glossopharyngeal nerve. Its fibres are distributed to the mucous membrane of the middle ear, the auditory tube, the mastoid antrum and air cells.It also gives off the lesser petrosal nerve. The superior and inferior coicotympanic nerves arise from the sympathetic plexus around the internal carotid artery. These fibes are vasomotor to the mucous membrane. Ref BDC volume 3,sixth edition pg 281